Upper segment: lower segment ratio in 3 year old child -
1. 1[?]1:1
2. 1[?]5:1
3. 1[?]3:1
4. 1[?]7:1

Correct answer: 3. 1[?]3:1

Explanation: Ans. is 'c' i.e., 1.3:1IAPText book of Paediatricp. 29At birth=1.7:13 to 4 years= 1.3:18 - 9 years=1:118 years= 0.9:8 Upper segment = Vertex to pubic symphysis.Lower segment = Pubic symphysis to sole & feet.Wt estimationAt birth = 3.2keHt. = EstimationBirth = 50 cm.1 year = 75 cm.= 2-12 years = (Age x 6) + 77 (cm)